The comparison of mortality rates between two countries requires the application of direct standardization. Which if the following parameters makes it necessary to have standardization?
1. Numerators
2. Denominators
3. Causes of death
4. Age distributions

Correct answer: 4. Age distributions

Explanation: Mortality rates between two countries are not comparable because these populations have different Age compositions. The difference in age between two sets of population (two countries) does not allow the mortality rates of the two populations to be compared. Direct standardization is used to remove the difference in age distribution thus allowing the comparison of mortality rates. Ref: Park's Textbook of Preventive and Social Medicine 19th Edition; Pages 54 - 55.